Which of the following is an end product of glycosis in an RBC?
1. Lactic acid
2. Acettyl CoA
3. Enters krebs cycle
4. Ethanol

Correct answer: 1. Lactic acid

Explanation: Erythrocytes:Major Pathways: Anaerobic glycolysis, pentose phosphate pathwayMain Substrates: GlucoseMajor Products Expoed: Latic acid, lactateSpecialist Enzymes: Hemoglobin, enzymes of pentose phosphate pathwayRef: Harper's Biochemistry, 30th edition, page no: 150